Development of spermatozoa (sperm) from spermatogonium takes how much time ?
1. 30-35 days
2. 40-45 days
3. 50-55 day
4. 70-75 days

Correct answer: 4. 70-75 days

Explanation: Ans. is 'd' i.e., 70-75 daysSpermatogenesis refers to the process of formation of spermatozoa (sperm) from primitive germ cells (spermatogonia).Spermatogenesis begins at puberty and continues throughout adult life to decline in old age.In humans, it takes an average of 74 days to form a mature sperm from primitive germ cells.Spermatogenesis occurs in seminiferous tubules.